Rampal 45 yr old man present with history of recurrent haemoptysis and purulent sputum.his chest X-RAY is normal, which of the following will be the next best investigation for him.?
1. HRCT
2. CT guided angiography
3. Angiography
4. Spiral CT

Correct answer: 1. HRCT

Explanation: Presence of purulent sputum with recurrent haemoptysis suggests a diagnosis of bronchiectasis. HRCT .is now the diagnostic procedure of choice having repalced bronchiography Ref Harrison 19th edition pg 1710